A child is born with caudal regression syndrome. What maternal complication will you suspect?
1. Maternal diabetes
2. Maternal hypothyroidism
3. Maternal hypertension
4. Maternal cardiac disease

Correct answer: 1. Maternal diabetes

Explanation: Sacral agenesis/ Caudal regression syndrome is the most specific anomaly associated with maternal diabetes. Common and specific defects in fetus of diabetic mother: The most common defect when we ask, we are asking for the purpose of Diabetes and its specific defects for the baby... not for anything else. The most common anatomical defects of babies born to mothers with Overt DM are cardiac: In cardiac defects, the most specific is TGA and thats a common defect too. Though we also see VSD and PDA. Now, No one will ask about VSD since VSD is seen in every other syndrome! also, sacral agenesis.... this is a rare defect, much lesser than cardiac defects. If this is seen in a newborn, we think of diabetes in the mother since this is a specific structural defect seen in Newborns of Overt Diabetic mothers. But as compared to Transposition of great vessels, this is much lesser common. So yes, if asked between TGV and Sacral agenesis, which is the more common Specific Defect, then its TGV for newborns born to mothers with overt diabetes.